A girl licks paint that is peeled of from the toys, develop acute abdominal pain, tingling sensation of hands and legs and weakness. Which enzyme is inhibited in this child?
1. ALA synthase
2. Heme oxygenase
3. Coproporphyrinogen oxidase
4. ALA dehydratase

Correct answer: 4. ALA dehydratase

Explanation: Ans. D. ALA dehydratasePaints contain lead hence it is most probably lead poisoning. Biochemical effects of lead poisoning are:Inhibition of ALA dehydratase >> Ferro chelataseIncreased ALA excretion in urine. Increased ALA synthase activity.